Most important muscle which opens mouth is
1. Lateral pterygoid
2. Medical pterygoid
3. Masseter
4. Temporalis

Correct answer: 1. Lateral pterygoid

Explanation: The lateral pterygoid may be regarded as the key muscle of this region because its relations provide a fair idea about the layout of structures in the infratemporal fossa. the relations are as follows: Superficial 1.masseter 2.Ramus of the mandible 3.Tendon of the temporalis 4.The maxillary artery Deep 1.mandibular nerve 2.middle meningeal artery 3.Sphenomandibular ligament 4.Deep head of the medial pterygoid REF.VOL.3,SIXTH EDITION vol3 pg 118